Bankart's lesion involves the___________ of the glenoid labrum
1. Anterior lip
2. Superior lip
3. Antero-superior lip
4. Antero-inferior lip

Correct answer: 4. Antero-inferior lip

Explanation: Bankart's lesion is seen in the anterior dislocation of shoulder joint. Dislocation causes stripping of glenoid labrum along with periosteum from anteroinferior surface of glenoid and scapular neck. The head of humerus comes to lie in front of scapular neck, in pouch thereby created. In severe injuries, it may be avulsion of a piece of bone from anteroinferior glenoid rim, called bony Bankart's lesion. Other pathological changes are Hill-Sachs lesion, rounding off. Ref: Essential Orthopaedics, Maheswari & Mhaskar, Edition 9th, Page no: 90